Which is the first centre to get activated before the onset of skilled voluntary movements ?
1. Neo cortex
2. Hypothalamus
3. Pons
4. Medulla

Correct answer: 1. Neo cortex

Explanation: Pathway for skilled voluntary motor activity begins in the cortex and terminates in individual fibers of the peripheral musculature.